Which of the following drugs exhibits narrow therapeutic window phenomenon?
1. Captopril
2. Furosemide
3. Diazepam
4. Imipramine

Correct answer: 4. Imipramine

Explanation: Imipramine exhibit therapeutic window phenomenon. also seen with drugs like phenytoin. lithium.theophylline. so the administrationis to be monitored using therapeutic drug monitoring. Ref: KDT 6/e pg. 46.